Nerve injured in fractureof medial epicondyle ofhumerus ?
1. Anterior interosseous
2. Median
3. Ulnar
4. Radial

Correct answer: 3. Ulnar

Explanation: Ans. is 'c' i.e., Ulnar Site of injury Fracture surgical neck humerus Fracture shaft humerus Supracondylar fracture Medial epicondyle fracture Posterior dislocation of HIP Fibular neck fracture Nerve injured Axillary nerve Radial nerve Median nerve (anterior interosseous branch) Ulnar nerve Sciatic nerve Common peroneal nerve